Posterior triangle lymph nodes are
1. Level 4
2. Level 5
3. Level 6
4. Level 7

Correct answer: 2. Level 5

Explanation: ISub mandibulaeIIUpper deep cervicalIIIMid-cervicalIVLower cervicalVPosterior triangleVIPre laryngeal/pre trachealVIIMediastinalRef: Bailey and love pg: 764